A 4 year-old girl with a history of hydrocephalus is brought to the neurologist by her parents with a severe headache and fever. The girl underwent a surgery for a ventricular-peritoneal shunt 2 months ago, and the neurologist suspects that an infection has occurred. Organisms would most likely be isolated from the shunt tubing is:
1. Staph aureus
2. Streptococcus
3. Staphylococcus epidermidis
4. Meningococcus

Correct answer: 3. Staphylococcus epidermidis

Explanation: Staphylococcus epidermidis